GH secretion is:
1. Greater in early morning
2. Greater in evening
3. Increased on prolonged fasting
4. Stimulates B-cells of pancreases directly

Correct answer: 3. Increased on prolonged fasting